somatic efferent nerves are all except:
1. Occulomotor
2. Trochlear
3. Trigeminal
4. Abducent

Correct answer: 3. Trigeminal

Explanation: Somatic efferent nerves, also called as general somatic efferent (GSE) nerves, supply skeletal muscle of somatic origin.
Somatic efferent nerves are: 
• Occulomotor (3)
• Trochlear (4)
• Abducent (6)
• Hypoglossal (12)